Uveal Effusion syndrome maybe associated with all of the following, EXCEPT:
1. Myopia
2. Ciliochoroidal detachment
3. Structural defect in Sclera
4. Nanophthalmos

Correct answer: 1. Myopia

Explanation: Uveal effusion syndrome is not associated with myopia.Uveal effusion syndrome may be associated with small hypermetropic eyes but it is not associated with Myopia. Ref: The Eye' by Forrester, Dick and Lee 2nd /188,; Elagouz M, Stanescu-Segall D, Jackson TL (2010) Uveal Effusion Syndrome; Vitreoretinal disease: The Essentials By Carl D. Regillo, Gary C. Brown, Harry W. Flynn Page 494